How much is the normal intracranial pressure?
1. 30 mm of water
2. 50 mm of water
3. 130 mm of water
4. 300 mm of water

Correct answer: 3. 130 mm of water

Explanation: ANSWER: (C) 130 mm waterREF: Guyton 12th ed pg 747The normal intracranial or CSF pressure is between 65-195 mm of water. Approximately 130 mm of water (10 mm Hg)